A 34-year-old, G1P0, presents for genetic counseling at 12 week's gestation. The patient has two sisters and a brother; her father has hemophilia. Her siblings are not affected, but she has a nephew that is:What is the inheritance pattern of this disorder?
1. X-linked inheritance
2. Autosomal recessive
3. Mitochondrial inheritance
4. Multifactorial inheritance

Correct answer: 1. X-linked inheritance

Explanation: Ans. (a) X-linked inheritance.Hemophilia is an X-linked recessive disease. These diseases are more common in men than in women. An affected male will not pass the diseases to his sons, but all daughters will be carriers. X-linked recessive diseases are transmitted from carrier women to affected men.Image source- style="font-family: Times New Roman, Times, serif">